One–third of the Rajya Sabha member's retire every –
1. Three years
2. Four years
3. Two years
4. One year

Correct answer: 3. Two years